The monoclonal antibody useful in the treatment of PNH is:
1. Rituximab
2. Eculizumab
3. Infliximab
4. Adalimumab

Correct answer: 2. Eculizumab

Explanation: By blocking the complement cascade downstream of C5, eculizumab abolishes complement-dependent intravascular hemolysis in all PNH patients, and significantly improves their quality of life. Reference: Harrisons Principles of Internal Medicine, 18th Edition, Page 884